The IPC section that denotes the death of the human being,unless the contrary appears from the context is
1. 44
2. 45
3. 46
4. 51

Correct answer: 3. 46

Explanation: IPC section 46 denotes the death of the human being unless the contrary appears from the context. In the simple words, the word denotes the death of human being unless the contest suggests otherwise Other options *IPC44 :Denotes the Section on injury.The word injury denotes the death of a human being unless the context suggests otherwise *IPC45:Denotes section on life.The word life denotes the life of a human being,unless the contrary appears from the context *IPC 51:Denotes the section on Oath Reference The essentials of Forensic Medicine and toxicology 33rd edition, page number 139